The artery commonly involved in cirsoidaneurysm is ?
1. Occipital
2. Superficial temporal
3. Internal carotid
4. External carotid

Correct answer: 2. Superficial temporal

Explanation: Ans. is 'b' i.e., Superficial temporal Cirsoid aneurysm is a dilatation of a group of blood vessels d/t congenital malformation with arteriovenous shunting (also k/a Racemose aneurysm) Superficial temporal artery is the most common vessel involved.